Anesthetic agent (s) safe to use in ICP
1. Halothane
2. Thiopentone
3. Ketamine
4. Ether

Correct answer: 2. Thiopentone

Explanation: Anesthetic agents safe to use in raised intracranial pressure (ICP) are thiopentone, propofol & etomidate. Ref: Manuel C Pardo Jr and Ronaldo D Miller 7th Ed.